A diabetic patient present with bloody nasal discharge, orbital swelling and pain. Culture of periorbital pus showed branching septate hyphae. Which of the following is the most probable organism involved -
1. Mucor
2. Candida
3. Aspergillus
4. Rhizopus

Correct answer: 3. Aspergillus

Explanation: Septate hyphae with acute branching → Aspergillus
Non septate hyphae with obtuse branching → Rhizopus/mucor